Norepinephrine is metabolized by which of the following enzymes
1. COMT
2. MAO
3. Both
4. Neither

Correct answer: 3. Both

Explanation: Both COMT and MAO breakdown norepinephrine. Ref:- KD Tripathi